All are used in atrial arrythmias except:
1. Digoxin
2. Verapamil
3. Quinidine
4. Lignocaine

Correct answer: 4. Lignocaine

Explanation: Lignocaine